Bechet's disease is characterized by:
1. Hypopyon
2. Hyphema
3. Subconjuctival hemmorrhage
4. Scleritis

Correct answer: 1. Hypopyon

Explanation: Hypopyon REF: Khurana 4th ed p. 156 Uveitis in bechet's disease Bilateral Recurrent iridocyclitis Hypopyon Viteritis Periphlebitis Retinitis